Unit of measurement of insulation of clothing is
1. Cl units
2. Clo Units
3. Clot units
4. Cloth units

Correct answer: 2. Clo Units

Explanation: Clothing insulation is the thermal insulation provided by clothing.Clothing insulation may be expressed in clo units1 Clo = 0.155 m2K/WClo = 0 - corresponds to a naked personClo = 1 - corresponds to the insulating value of clothing needed to maintain a person in comfort sitting at rest in a room at 21 (70 ) with air movement of 0.1 m/s and humidity less than 50% - typically a person wearing a business suit